Most common cause of hereditary spherocytosis:
1. Spectrin
2. Glycophorin
3. Ankyrin
4. Band 4

Correct answer: 3. Ankyrin

Explanation: Most common cause of hereditary spherocytosis is ankyrin gene mutation. Ankyrin is the principal binding site for spectrin on the red cell membrane. Mutations of alpha-spectrin are associated with recessive forms of HS, whereas mutations of beta-spectrin occur in families with autosomal dominant forms of HS.